All except one is required for the diagnosis of obesity hypoventilation syndrome
1. Hypertension
2. Sleep disorder breathing
3. BMI more than or equal to 30 kg/m2
4. PaCO2 more than or eqal to 45 mmHg

Correct answer: 1. Hypertension

Explanation: Repeated